All are negative symptoms of schizophrenia, except:
1. Anhedonia
2. Hallucination
3. Alogia
4. Affective flattening

Correct answer: 2. Hallucination

Explanation: Ans. Hallucination